All can predisposes to non cirrhotic portal fibrosis, EXCEPT:
1. Xenobiotics exposure
2. Arsenic contaminated water
3. Repeated intestinal exposure
4. Radiation exposure

Correct answer: 4. Radiation exposure

Explanation: Noncirrhotic portal hypertension is a group of disorder characterized by increase in portal pressure,due to intrahepatic or pre hepatic lesions, and absence of cirrhosis of the liver. Etiopathogenesis of NCPF xenobiotics exposure and various Immunologic abnormalities(Abnormalities of T-lymphocytes and adhesion molecules) Repeated intestinal infection Drinking of arsenic contaminated water Ref: Medicine Update 2012 Vol. 22.